Which of the following is lyase?
1. Decarboxylase
2. Synthetase
3. Kinase
4. Oxygenase

Correct answer: 1. Decarboxylase

Explanation: These enzymes can remove groups from substrates or break bonds by mechanisms other than hydrolysis. For example, Fructose-1,6-bisphosphate -------- Glyceraldehyde-3-phosphate +dihydroxy acetone phosphateRef: DM Vasudevan, Page no: 42